All of the following predispose to IHD except
1. Smoking
2. Alcoholism
3. Sedentary habits
4. Diabetes

Correct answer: 2. Alcoholism